In treatment of Pseudomonas infections, carbenicillin is frequently combined with :
1. Penicillin
2. Gentamicin
3. Ciprofloxacin
4. Amoxycillin

Correct answer: 2. Gentamicin